Maurer's dots are seen in infection with?
1. PI. malariae
2. PI. vivax
3. PI. ovale
4. PI. falciparum

Correct answer: 4. PI. falciparum

Explanation: Ans. D. PI. FalciparumREMEMBER the following;a. Plasmodium vivax - Schuffner's dotsb. Plasmodium falciparum - Maurer's dotsc. Plasmodium malariae - Ziemann's dotsd. Plasmodium ovale-James's dots